Virulence factors for meningococci ?
1. Capsule
2. Pili
3. Endotoxin
4. All

Correct answer: 4. All

Explanation: Ans. is 'a' i.e., Capsule; 'b' i.e., Pili & 'c' i.e., Endotoxin The capsular polysaccharide - It is a major virulence factors - It has antiphagocytic and antibactericidal properties. - Based on capsular polysaccharide, meningococci have been divided into serogroups. Outer membrane proteins - Pili - Facilitate adhesions - Porins Por A and Por B - Opc - is involved in cell attachment and is a target for bactericidal antibodies. - IgA1 protease - protects from the action of mucosal IgA. - Systems for acquisition of iron - carrying molecules like transferrin and lactoferrin. Lipooligosaccharide (Endotoxin) - Mediates the induction of inflammatory cytokines. - The morbidity and mortality of meningococcal bacteremia and meningitis have been directly correlated with the amount of circulating meningococcal endotoxin.